F body is?
1. Y chromatin
2. X chromatin
3. Chromosome 1
4. Chromosome 21

Correct answer: 1. Y chromatin

Explanation: Quinacrine, a fluorescence dye, binds strongly to Y chromosome forming a bright fluorescent spot (F body).